Which of the following is a feature of Class I type 3
malocclusion?
1. Posterior crossbite
2. Anterior crossbite
3. Mesial drifting of molars
4. Protrusion of mandibular incisors

Correct answer: 2. Anterior crossbite

Explanation: Dewey (1915) divided Angle’s class I into five types and Angle’s class III into three types. There were no modifications for class II. He considered the same molar relationship as in Angle’s classification.
Modifications of class I malocclusion
Type I - Crowded anterior teeth
Type II - Maxillary incisors in labioversion
Type III - Anterior cross-bite
Type IV - Posterior cross-bite
Type V - Molars are in mesioversion due to shifting following loss of a tooth anterior to the first molars; all other teeth are in a normal relationship.
Reference: Orthodontics: Diagnosis and Management of Malocclusion and Dentofacial Deformities 3rd O P Kharbanda, pdf no 333